Which microorganism is responsible for classical presentation of hydrocephalus, chorioretinitis and intracerebral calcification?
1. Toxoplasmosis
2. Rubella
3. Measles
4. CMV

Correct answer: 1. Toxoplasmosis

Explanation: *Toxoplasmosis is caused by toxoplasma Gondi . * the classical triad of toxoplasmosis is intracranial calcification, hydrocephalus and chorioretinitis. Infants asymptomatic at birth may later present with intellectual disability and deafness . *The diagnosis is confirmed by demonstrating a positive toxoplasma IgM antibody in the serum of the affected child. Reference : Ghai essential pediatrics, 9 th edition, pg no:264